If caecum is involved as a part of the wall of hernia sac and is not its content, then it will be known as:
1. Richter's hernia
2. Spigelian hernia
3. Sliding hernia
4. Interstitial hernia

Correct answer: 3. Sliding hernia

Explanation: Sliding hernia - A.K.A hernia en glissade an acquired hernia due to weakening of the abdominal wall, but occurs at the deep inguinal ring lateral to the IE vessels. Retroperitoneal fatty tissue is pushed downwards along the inguinal canal. As more tissue enters the hernia, peritoneum is pulled with it, thus creating a sac - However, the sac has formed secondarily, distinguishing it from a classic indirect hernia. On the left side, sigmoid colon may be pulled into a sliding hernia and on the right side the caecum.